Therapeutic drug monitoring is required for all drugs except:
1. Phenytoin
2. Metformin
3. Tacrolimus
4. Cyclosporin

Correct answer: 2. Metformin

Explanation: Therapeutic drug monitoring (TDM) is useful for digoxin, anticonvulsants, antiarrhythmics, theophylline, aminoglycoside antibiotics, lithium, tricyclic antidepressants. not useful for drugs whose response is easily measurable antihypertensives, hypoglycaemics (Metformin), diuretics, oral anticoagulants(Warfarin), general anesthetics. Ref; KD Tripathi pharmacology 7th edition (page no; 34)